Infection draining the index finger goes to
1. Thenar space
2. Midpalmar space
3. Ulnar bursa
4. Radial bursa

Correct answer: 1. Thenar space

Explanation: Infection in the index finger drains into thenar space Infection from 3, 4, 5th fingers drains into mid-palmar space Spaces: Flexor pollicis longus tendon have radial bursa towards radius bone. Ulnar bursa is on the synovial sheath of flexor tendons which continues with the little finger (flexor digitorum Tendon) If there is infection in pulp space of thumb there would be radial bursitis. Lumbrical 1 relates with thenar space But lumbricals 2, 3, 4 canals would be continuous with mid-palmar space forearm space of Parona (which is filled with pus sometimes due to ulnar / radial bursitis) Midpalmar and Thenar Spaces FDS:Flexor digitorum superficialis FDP: Flexor digitorum profundus FPL: Flexor pollicis longus